What is the root value of the posterior cutaneous nerve of the thigh?
1. S1, S2
2. S1, S2, S3
3. S2, S3
4. S2, S3, S4

Correct answer: 2. S1, S2, S3

Explanation: Posterior cutaneous nerve of thigh- S1,2,3